Laparoscopic cholecystectomy was done, on histopathology, stage was T2. Next line of treatment
1. Observation
2. Extended cholecystectomy
3. Port size excision
4. Chemotherapy

Correct answer: 2. Extended cholecystectomy

Explanation: Treatment of carcinoma Gallbladder Gallbladder cancer: Incidental pathological finding after laparoscopic cholecystectomy T1a with negative cystic duct margin : No further therapy T1a with postive cystic duct margin : Reresection of cystic duct or CBD to negative margin T1b, T2, T3 tumor with no evidence of metastasis : Reresection, extended cholecystectomy (possible CBD or extended hepatic resection) T4: Extended cholecystectomy with extended right hepatectomy N2 or M1 disease : Clinical trial (Chemoradiation or chemotherapy) in good performance status. Laparoscopic trocar site scars are excised for staging purpose to identify M1 disease than for any potential therapeutic benefit Ref: Sabiston 20th edition Pgno : 1512-1514